Which immunoglobulin is scarce in human serum -
1. IgA
2. IgG
3. IgM
4. IgE

Correct answer: 4. IgE

Explanation: IgG has maximum serum concentration (12 mg/mL) and IgE has minimum serum concentration (0.00004mg/mL).